Herpangina is caused by:
1. Coxsackie
2. Adeno virus
3. Rhino virus
4. Influenza

Correct answer: 1. Coxsackie

Explanation: Ans: a (Coxsackie) Ref:Ananathanarayan, 7th p. 497Herpangina is caused by coxsackie virus group A in children.The characteristic lesions are small vesicles on the posterior pharyngeal wall that may break down to form ulcers. So it is called also called vesicular pharyngitis.Type A (1-24)TypeB (1-6)HerpanginaAseptic meningitisRespiratory infectionEpidemic fever with maculopapular rash(Hand foot and mouth disease)Juvenile Diabetes mellitusEpidemic pleu rod ynia( Bom holm disease)MyocarditisPancreatitisHepatitisSpastic paralysisNoteEnterovirus infectionsType 68 - Pneumonia and bronchitisType 70 - Hemorrhagic conjunctivitisType 71 - Meningitis and encephalitisType 72 - Hepatitis type A